Screening are for trachoma is:
1. Below 5 years school child only
2. 1-9 years
3. 9-14 years
4. 5-15 years

Correct answer: 2. 1-9 years

Explanation: Ans. b. 1-9 years